True about Arboviruses is -
1. Yellow fever is endemic in India
2. Dengue has only one serotype
3. KFD was first identified in West Bengal
4. Chikungunya is transmitted by Aedes aegypti

Correct answer: 4. Chikungunya is transmitted by Aedes aegypti

Explanation: - chikungunya is a disease caused by group A virus, the chikungunya virus and transmitted by Aedes aegypti. - KFD was first recognized inas Shimoga district of Karnataka in India. - India is a yellow fever receptive area, that is an area in which yellow fever does not exist, but where conditions would permit it's development if introduced. - Dengue is caused by dengue virus. - there are four virus serotypes which we designated as DENV1, DENV2, DENV3 and DENV4. Reference : Park's textbook of preventive and social medicine, 23rd edition, pg no:283,247,288,289